Which of the following is the treatment of choice for stage-I Wilm's Tumor
1. Laparoscopic Nephrectomy
2. Open Nephroureterectomy
3. Chemotherapy
4. Observation

Correct answer: 2. Open Nephroureterectomy

Explanation: Open Nephroureterectomy is the standard surgical procedure for Wilms tumour.Many experts prefer preoperative chemotherapy because it diminishes the size of the tumor and allows better staging.By preoperative chemotherapy,using actinomycin D and vincristine for a period of 4 weeks,85% of the patients may not require any local radiotherapy.Stage I and II tumors with favorable histology are usually treated postoperatively with vincristine & actinomycin D. Reference:Essential pediatrics-Ghai,8th edition,page no:618.